Which is not a content of the spermatic cord?
1. Cremastric artery
2. Testicular artery
3. Pampniform plexus
4. Ilioinguinal nerve

Correct answer: 4. Ilioinguinal nerve

Explanation: Ans: d (Ilioinguinal nerve) Ref: BDC, 4th ed, Vol. II,p. 208The ilioinguinal nerve is not a content of the spermatic cord. In fact, it is a content of the inguinal canal, along with the spermatic cord.Ilioinguinal nerve:Enters the inguinal canal through the interval between the external and internal oblique and passes through the superficial inguinal ring.Contents of the spermatic cord:* Ductus deferens* Testicular artery* Cremastric artery* Artery to ductus deferens* Pampniform plexus of veins* Lymphatics from the testis* Genital branch of genitofemoral nerve* Sympathetics around ductus deferens* Remains of processus vaginalisRemember* Ilioinguinal nerve (L 1)- supplies root of penis, upper part of scrotum, and upper medial aspect of the thigh* Iliohypogastric nerve (L 1)- Gluteal region and suprapubic region* Femoral part of genitofemoral nerve (L 1,2)- Over femoral triangle (upper part of front of thigh)* Genital part of genitofemoral nerve (L1,2)-Males - cremastric muscleFemales - sensory branch to round ligament skin of labia majora